Antiemetic of choice in chemotherapy induced vomiting-
1. Metaclopramide
2. Ondansetron
3. Prochlorperazine
4. Nabilone

Correct answer: 2. Ondansetron

Explanation: Ans. is 'b' i.e., Ondansetron o The drug of choice in chemotherapy induced vomiting is 5HT receptor antagonist.# The selective type of 5HT. receptor antagonist is a drug class that has a high therapeutic index for prevention of chemotherapy induced nausea and vomiting.# Randomized trials have shown that single agent 5HT} receptor antagonist are more effective than less specific agents such as high dose metoclopromide and as effective as the combination of high dose metoclopramide plus dexamethasone.Drugs used in chemotherapy induced nausea and vomiting5HT, receptor antagonistDexamethasoneNeurokinin-1 antagonisto Granisetrono With a neurokinin-1 antagonisto Aprepitant (oral)o Dolasetrono Without a neurokin inio Fosaprepitant (i.v)o Palonosetron# Antagonist o Tropisetron o Ramosetron Other agents with a lower therapeutic indexo Metoclopramide (i.v.)o Prochlorperazine (i. v.)o Prochlorperazine oralo Nabilone oralo Dronabinol oral